Vitremer is _____
1. Metal modified GIC
2. Resin modified GIC
3. Organically modified composite
4. Polyacid modified composite

Correct answer: 2. Resin modified GIC

Explanation: The Vitremer core buildup/restorative system, manufactured by 3M ESPE, is comprised of shaded glass ionomer powders, the glass ionomer liquid, the primer and a finishing gloss. 
Vitremer core buildup/restoration is a two-part, powder/liquid composition.
The powder is a radiopaque, fluoroaluminosilicate glass. The liquid is a light-sensitive, aqueous solution of a modified polyalkenoic acid. 
Vitremer core buildup/restoration provides the major benefits of glass ionomer cements - adhesion to tooth structure, fluoride release and biocompatibility.

Reference- https://www.proclinic.es/tienda/media/fichas_tecnicas/3854_is_vitremer.pdf